Erythropoietin is inhibited by -
1. Estrogen
2. Progesterone
3. Thyroxine
4. Testosterone

Correct answer: 1. Estrogen

Explanation: Ans. is 'a' i.e., Estrogen o Estrogen antagonizes the erythropoietin-augmenting effect of placental lactogen. It inhibits utilization of erythropoietin by the marrow stem cell, and also impairs its production.